ECF is measured by
1. Inulin
2. D2O
3. Evan's blue
4. 3H2O

Correct answer: 1. Inulin

Explanation: Ref: Ganong's review of medical physiology; 23ed edition, page no:2 Inulin A polysaccharide with the general formula C6nH10n+2O5n+1 that yields fructose when hydrolyzed and is found in the roots of many plants, especially those of the composite family. It is used as an additive in processed foods to replace fat or sugar and to increase fiber content.